Birth trauma is a risk factor for :
1. Prolapse uterus
2. Endometriosis
3. PID
4. Abortions

Correct answer: 1. Prolapse uterus

Explanation: Ans. is a i.e. Prolapse Uterus Risk factors assciated with prolapse : Menopausedeg (most important aetiological factor) It increasing chances of prolapse due to - Aging which decreases strength of uterine supports - Hypoestrogenism Birth injurydeg - due to excessive stretching of the pelvic floor mucles and ligaments. - Due to injury of pudendal nerve Risk factors associated with birth injury : - Bearing down before full dilatation of cervix. - Ventouse extraction of fetus before the cervix is fully dilated Delivery of a big baby - Rapid succession of pregnancies - Resumption of heavy work, soon after delivery Chronically increased intraabdominal pressure : - COPD - Constipation - Obesity Pelvic floor trauma latrogenic trauma as in case of : - Abdomino perineal excision of the rectum Radical vulvectomy - Vaginal hysterectomy Genetic factors : - Race - Hipanic women have highest risk - Connective tissue disorders like warfan and Ehler Danlos Syndrome increase the risk. Increased risk in case of spina bifida.